Blow out carotid is characteristically seen with -
1. Thyroidectomy
2. Radical neek dissection
3. Flap necrosis
4. Sistrunk operation

Correct answer: 2. Radical neek dissection

Explanation: History of radiation exposure followed by radical neck dissection increases the risk of carotid blowout in head and neck cancers.
• Carotid blowout refers to rupture of the carotid and its branches
• It is one of the most devastating complications associated with therapy for head and neck cancers
• Carotid blowout tends to occur in head and neck cancer, radiation induced necrosis, recurrent tumors or pharynocutaneous fistulas
• The clinical signs and symptoms related to rupture of carotid artery have been referred as carotid blowout syndrome
• Reported morbidity and mortality rates are 40% and 60% respectively.